Increased intake of PUFA causes increased requirement of the following vitamin
1. Fiboflavin
2. Tocopherol
3. Vitamin A
4. Vitamin D

Correct answer: 2. Tocopherol

Explanation: Metabolism of Vitamin E Normal blood level of tocopherol is 0.5-1 mg/dl. It is absorbed along with other fats and needs the help of bile salts. Tocopherol is absorbed and transported as chylomicrons. It is stored in adipose tissue. During catabolism, the chromane ring and side chain may be oxidized and excreted in bile after conjugation with glucuronic acid.Biochemical Role of Vitamin E i. Vitamin E is the most powerful natural antioxidant (Chapter 20). Free radicals are continuously being generated in living systems. Their prompt inactivation is of great importance. Vitamin E is a known biological antioxidant able to quench the lipid peroxidation chain and to protect the plasma membranes from the attack of free radicals.ii.The free radicals would attack bio-membranes. Vitamin E protects RBC from hemolysis. By preventing the peroxidation, it keeps the structural and functional integrity of all cells. iii. Gradual deterioration of aging process is due to the cumulative effects of free radicals. Vitamin E also boosts immune response. Fig. 33.13. Atherosclerotic plaque in a blood vessel is shown in the left side. It may be prevented by vegetables containing vitamin E iv. It reduces the risk of atherosclerosis by reducing oxidation of LDL (Fig. 33.13; see Chapter 25 for Atherosclerosis).v.Vitamin E can depress leukocyte oxidative bactericidal activity.Ref: DM Vasudevan - Textbook of Biochemistry for Medical Students, 7th edition, page no: 473